An infant presented with erythematous lesions on cheek and extensor aspect of upper and lower limbs. There is a family history of Asthma. The probable diagnosis is:
1. Air borne contact dermatitis
2. Atopic dermatitis
3. Seborraehic dermatitis
4. Infectious eczematoid dermatitis

Correct answer: 2. Atopic dermatitis

Explanation: History of atophy (asthma) in family, with erythematous lesions on face (cheek) and extensor surface of limbs is suggestive of atopic dermatitis. Ref: Pediatric Allergy, Asthma And Immunology By Arnaldo Cantani, 2008, Page 511; Harrison's Principles of Internal Medicine 16th Edition, Page 268; Roxburgh's Common Skin Diseases 17th Edition, Page 105-112; Illustrated textbook of dermatology: Pasricha 3rd Edition, Page 152; Fitzpatrick's Dermatology in General Medicine 6thEdition, Page 1181-1203; Rooks Textbook of Dermatology 7th Edition, Page 18.1-18.30